Which is the BEST method to diagnose a case of Mallory weiss tear?
1. Esophagogastroduodenoscopy
2. Side view endoscopy
3. MRI scan
4. Angiogram

Correct answer: 1. Esophagogastroduodenoscopy

Explanation: Mallory-Weiss Tear A Mallory-Weiss tear is a linear mucosal rent near or across the gastroesophageal junction. It may disrupts the submucosal arteriole resulting in brisk hemorrhage. MUST KNOW: Endoscopy is the best method of diagnosis. Actively bleeding tear can be treated endoscopically with epinephrine injection, coaptive coagulation, band ligation, or hemoclips. Ref: Harrison, Edition-18, Page-2416.